Surgery for elective hemicolectomy for carcinoma colon is described as
1. Clean
2. Clean contaminated
3. Dirty
4. Contaminated

Correct answer: 2. Clean contaminated

Explanation: Surgery for elective hemicolectomy for carcinoma colon is described as Clean contaminated.